Scrub typhus is caused by which of the following Vector
1. Mite
2. Louse
3. Tick
4. Flea

Correct answer: 1. Mite

Explanation: The true reservoir of Scrub Typhus infection is the trombiculid mite (Leptotrombidium delinese and L. akamushi). The infection is maintained in nature transovarially from one generation of mite to the next. The nymphal and adult stages of the mite are free-living in the soil ; they do not feed on vertebrate hosts. It is the larva(chigger) that feed on vertebrate hosts and picks up the rickettsiae. The larval stage serves both as a reservoir,through ovarian transmission, and as a vector for infecting humans and rodents Ref: Pg.No:327; Park 25th Edition